Crystalline miliaria is due to obstruction to
1. Sweat gland
2. Sebaceous glands
3. Accessory sweat gland
4. Hair roots

Correct answer: 1. Sweat gland

Explanation: Miliaria crystallina is caused by obstruction of the sweat ducts close to the surface of the skin Miliaria rubra, caused by obstruction of the sweat ducts deeper in the epidermis; Miliaria profunda, the result of sweat leaking into the middle layer of skin (dermis). Ref Harrison20th edition pg 1207